Ketone body formation takes place in:
1. Liver
2. Kidney
3. Spleen
4. Blood

Correct answer: 1. Liver

Explanation: A Harper, 26th ed, p. 183 & 25th ed, p. 243, Fig (24.6)